The following interleukin is characteristically produced in a TH1 response?
1. IL-2
2. IL-4
3. IL-5
4. IL-10

Correct answer: 1. IL-2

Explanation: After coming in contact with antigen presenting cells, CD4+ helper T cells secrete IL-2 and expresses high-affinity receptors for IL-2. IL-2 is a growth factor that acts on these T lymphocytes and stimulates their proliferation, leading to an increase in the number of antigen-specific lymphocytes.